Sappey's line denotes a line -
1. Encircling the neck at C6 vertebra level
2. Encircling the trunk just above the umbilicus
3. Encircling the salpigian tubes
4. None of the above

Correct answer: 2. Encircling the trunk just above the umbilicus

Explanation: Ans. is 'b' i.e., Encircling the trunk..... Sappey's line defines a horizontal line around the waist extending from the umbilicus, along the iliac crests over to Ll. Lymphatic drainage of the skin above this line is to the axillary lymph nodes and below this line to the inguinal.